The amount of sewage flowing in a system in 24 hours is called
1. Sewage rate
2. Dry weather flow
3. RCA index
4. Sewage index

Correct answer: 2. Dry weather flow

Explanation: Dry weather flow refers to the wastewater flow in a sewer system during periods of dry weather with minimum infiltration. Wet Weather Flow - Dry weather flow combined with stormwater Ref : Park 23rd edition Pgno : 762